All of the following are known functions of hypothalamus except
1. Temperature regulation
2. Increased in heart rate with exercise
3. Food intake
4. Hypophyseal control

Correct answer: 2. Increased in heart rate with exercise

Explanation: Functions of Hypothalamus
– Thermoregulation- Preoptic region

Anterior hypothalamus- Heat response
Posterior hypothalamus- Cold response

– Satiety centre- ventromedial nucleus
– Feeding centre- Lateral nucleus
– Circadian rhythm- Suprachiasmatic nucleus
– Sleep
– Sex drive-  Anterior hypothalamus, Posterior hypothalamus.
– Hypophysis regulation